The amount of vasoconstrictor in 1 ml of 2% Lignocaine solution with 1:2,00,000 adrenaline is:
1. 0.5 mg
2. 0.05 mg
3. 0.005 mg
4. 0.0005 mg

Correct answer: 3. 0.005 mg